The longest extraocular muscle is:
1. Superior oblique
2. Inferior oblique
3. Superior rectus
4. Inferior rectus

Correct answer: 1. Superior oblique

Explanation: Ans. Superior oblique